Which of these Is not an FDA approved indication for use of modafinil as an adjunct?
1. Major depression and associated lethargy
2. Narcolepsy
3. Obstructive sleep apnea
4. Shift work disorder

Correct answer: 1. Major depression and associated lethargy

Explanation: Ref: KD Tripathi 7th edition Page no 487 Modafinil is a newer psychostimulant and it's approved indications are narcolepsy, sleep apnea syndrome and shift work syndrome. It is being evaluated as a drug to prevent relapse of cocaine dependence. It is not used for depression